Tacrolimus level is increased by all except
1. Erythromycin
2. Itraconazole
3. Danazole
4. Rifampicin

Correct answer: 4. Rifampicin

Explanation: Ans. (D) Rifampicinwww.medscape.com/druginfo(Ref: KDT 8/e p940, )Erythromycin, itraconazol and danazol inhibit the metabolism of tacrolimus and thus increase the plasma concentration whereas rifampicin is an enzyme inducer and decrease its plasma level.